Proliferation of nasal masses in Rhinoscleroma produces characteristic configuration typical of the disease
1. Hebra nose
2. Scrofula
3. Nose root deformity
4. Mongolian nose

Correct answer: 1. Hebra nose